Calcitonin is a marker of ?
1. Prostate cancer
2. Medullary carcinoma of thyroid
3. Pheochromocytoma
4. Pancreatic cancer

Correct answer: 2. Medullary carcinoma of thyroid

Explanation: Ans. is 'b' i.e., Medullary carcinoma of thyroid